Neovascularization of iris is frequently seen in all/except
1. CRVO
2. Diabetic retinopathy
3. Fuch's heterochromic cyclitis
4. Congenital cataract

Correct answer: 4. Congenital cataract

Explanation: Ans. (d) Congenital cataractRef: Parson's 22/e, p. 253; Yanoff 4/e, p. 1076, 1077)Causes of Iris NeovascularizationRetinal Ischemia* Diabetic retinopathy* Central retinal vein occlusion* Central retinal artery occlusion* Retinal detachment* Sickle cell retinopathy* Retinoschisis* Carotid artery occlusionInflammatory* Chronic uveitis* Endophthalmitis* Vogt-Koyanagi-Harada syndrome* Sympathetic ophthalmiaTumors* Choroidal/iris melanoma* Ocular lymphoma* RetinoblastomaIrradiation* External beam radiation* Charged particle therapy* Plaque therapyDifferential Diagnosis of Neovascular Glaucoma* Uveitic glaucoma* Acute angle-closure glaucoma* Chronic angle-closure glaucoma* Iridocorneal endothelial (ICE) syndrome* Fuchs' heterochromic iridocyclitis